A 6 hrs old snake bite patient come to emergency with mild local oedema at the injury site on examination no abnormality detected, laboratory investigation shows normal report, most appropriate management
1. Intravenous antisnake venom
2. Incision and suction
3. Wait & watch
4. Locally subcutaneous antisnake venom

Correct answer: 3. Wait & watch

Explanation: Ans. is 'c' i.e Wait & Watch Most of the snake bites are from non-venomous snakes. Even in venomous snakes bites, inadequate snake venom is injected in more than half of the cases, producing mild symptoms.If the snake is poisonous signs and symptoms appear within 10 minutes to half an hour in case of Elapids (Cobras, Kraits) and vipers and within 1 hr in cases of sea snakes.Here 6 hrs have passed symptomless so the snake must be a nonpoisonous one.Remember :Elapids are Neurotoxic*Vipers are Vasculotoxic*Sea snakes are Myotoxic*